Which of the following is the major site of erythropoietin production during the fetal stage:
1. Liver
2. Yolk
3. Bone
4. Spleen

Correct answer: 1. Liver

Explanation: a. Liver(Ref: Nelson's 20/e p 2306)Erythropoietin (EPO) is produced in fetal liver during 1st & 2nd trimesters, by cells of monocyte/macrophage origin.After birth, the anatomic site of EPO production shifts to the kidney.